Final common pathway of metabolism of carbohydrates, lipids and protein metabolism is
1. TCA cycle
2. Glycogenesis
3. Gluconeogenesis
4. None of the above

Correct answer: 1. TCA cycle

Explanation: Final Common Oxidative Pathway Citric acid cycle may be considered as the final common oxidative pathway of all foodstuffs. all the major ingredients of foodstuffs are finally oxidized through the TCA cycle. Almost all the biochemical processes use ATP for meeting energy needs--muscle contraction, active transport, biosynthetic reactions, etc. A thermodynamically unfavorable reaction when coupled with hydrolysis of ATP becomes favorable.Ref: DM Vasudevan, 7th edition, page no: 250